Drug of choice for Treponema pallidum is :
1. Penicillin G
2. Tetracycline
3. Azithromycin
4. Doxycycline

Correct answer: 1. Penicillin G